A community has 30% below 15years of age and 10% over 65years of age. Dependency ratio is
1. 20%
2. 40%
3. 66.60%
4. 3%

Correct answer: 3. 66.60%

Explanation: Dependency ratio The proportion of persons above 65 years of age and children below 15 years of age are considered to be dependant On the economically productive age group (15-64 years). The ratio of the combined age groups 0-14 years plus 65 years and above to the 15-65 years age group is referred to as the total dependency ratio. It is also referred to as the societal dependency ratio and reflects the need for a society to provide for their younger and older population groups. The dependency ratio can be subdivided into young age dependency ratio (0-14 years); and old age dependency ratio (65 years and more). These ratios are, however, relatively crude, since they do not take into consideration elderly or young persons who are employed or working age persons who are unemployed. It is given by the formula : Thus, DR = 30%+10%/60% = 0.66 or 66.6% or 66 per 100 DR of 0.66 or 66/100 or 66% implies : 100 earning people in that community will have support 166 people (100 themselves and 66 Non-earning dependents on them) Ref: Park 25th edition Pgno : 535